The most common fungus producing meningitis in immuno compromised host is -
1. Cryptococcus
2. Blastomycetes
3. Candida
4. Histoplasma

Correct answer: 1. Cryptococcus